All are complications of hydatid cyst in except?
1. Jaundice
2. Suppuration
3. Cirrhosis
4. Rupture

Correct answer: 3. Cirrhosis

Explanation: Ans. is 'c' i.e., Cirrhosis